All of the following have receptors which are transcription factors, except:
1. Insulin
2. Estrogen
3. Glucocorticoids
4. Vitamin D

Correct answer: 1. Insulin

Explanation: Insulin receptors themselves are Enzymatic proteins and not Transcription factors. Ref: K D Tripathi Textbook of Pharmacology, 5th Edition, Pages 45, 214; Ganong Review of Medical Physiology By Barrett, Pages 320-21; Cell Physiology Source Book By Nicholas Sperelakis, Pages 657-58